Nerve carrying motor component of light reflex
1. 3rd nerve
2. 1st nerve
3. 2nd nerve
4. 4thnerve

Correct answer: 1. 3rd nerve

Explanation: Efferent pathway consists of parasympathetic fibres which arise from the Edinger -Westphal nucleus in the midbrain and travel along the third cranial nerve .
i.e, occulomotor nerve.